Which of the following drugs may induce a psychosis that is easily confused with, or misdiagnosed as, paranoid schizophrenia?
1. Barbiturates
2. Heroin
3. Benzodiazepines
4. Amphetamines

Correct answer: 4. Amphetamines

Explanation: Amphetamine intoxication can result in a psychosis very closely resembling acute paranoid schizophrenia, with symptoms including paranoid delusions and visual hallucinations.